Antibiotic treatment of choice for treating cholera in an adult is a single dose of:
1. Tetracycline
2. Co-trimoxazole
3. Doxycycline
4. Furazolidone

Correct answer: 3. Doxycycline

Explanation: Doxycycline - antibiotic of choice for adults only single dose suffices. TMP-SMX - antibiotic of choice for children. Furazolidone - antibiotic of choice for pregnant women. Ref: Park's Textbook Of Preventive And Social Medicine By K. Park, 19th Edition, Page 193; Park's Textbook Of Preventive And Social Medicine By K. Park, 18th Edition, Page 181